Medulloblastoma exclusively occurs in the:-
1. Medulla
2. Cerebellum
3. Cerebral hemisphere
4. Spinal cord

Correct answer: 2. Cerebellum

Explanation: MEDULLOBLASTOMA MC malignant brain tumor of childhood: Medulloblastoma Medulloblastoma is most radiosensitive brain tumor MC site : Vermis (75%) MC site in adults: lateral cerebellar hemisphere